Which of the following was introduced by Faunce and Faunce?
1. Laminate veneers
2. Strip Crowns
3. Hurt friedy crowns
4. Hall crowns

Correct answer: 1. Laminate veneers

Explanation: - The use of thin, pre-fitted porcelain facings (laminate veneers) that are bonded to enamel surfaces were introduced by Faunce and Faunce.